What is a feature of narcolepsy-
1. Insomnia
2. Hypersomnia at day time
3. Bimism
4. Somnambulism

Correct answer: 2. Hypersomnia at day time

Explanation: Ans. is 'b' i.e., Hypersomnia at day time Narcolepsyo This is characterized by excessive day time sleepy often disturbed night time steep and disturbances in the REM sleep. Age of onset is between 10-20 years. There is irresistable desire to sleep and bouts of sudden sleep each Lasting for 10-30 minutes occuring during day time. In majority of cases narcolepsy is associated with one or more accessory symptoms :-Cataplexy It is the most common accessory symptom and is characterized by sudden decrease in muscle tone either, local or generalized.Hypnagogic hallucination :- Hallucination occuring just before falling asleep. When hallucination occurs just before awakening it is called hyponopompic hallucinations.Sleep paralysis (least common).